Von Geirke's occurs due to deficiency of ?
1. Glucose-6-phosphatase
2. Liver Phosphorylase
3. Muscle phosphorylase
4. Debranching enzyme

Correct answer: 1. Glucose-6-phosphatase

Explanation: Ans. is 'a' i.e., Glucose-6-phosphataseGlucose - 6- phosphatase is deficient in Von Gierke's disease.